Immune complex mediated hypersensitivity is classified as: (Repeat)
1. Type 1 H ypersensitivity reaction
2. Type 2 Hypersensitivity reaction
3. Type 3 Hypersensitivity reaction
4. Type 4 Hypersensitivity reaction

Correct answer: 3. Type 3 Hypersensitivity reaction

Explanation: Ans: C (Type 3 Hypersensitivity reaction) Ref: Robbins Pathologic Basis of Disease, 8th editionExplanation:Refer 2011 Pathology question explanation